A 28 year female committed suicide. On the site it was noticed that her feet was not touching the ground. Which of the following shows its suicidal and not homicidal:
1. Ligature mark continuous around the neck
2. The position of the knot at the angle of mandible
3. Saliva dribbling to the opposite side of the knot
4. Red congested face

Correct answer: 3. Saliva dribbling to the opposite side of the knot

Explanation: Ans. (c) Saliva dribbling to the opposite side of the knotRef: Textbook of Forensic Medicine And Toxicology: Principles And Practice by Vij/162Difference between Hanging and Strangulation by ligatureTraitHangingStrangulation by ligatureManner of deathMostly suicidalHomicidalFacePale, No petechiaeRed congested, marked petechiaeBleedingBleeding from nose, mouth and ears not commonCommonSalivaOften dribbles out of mouthVery rareLigatureOblique, Non- continuous, placed high up in the neck between chin and larynxHorizontal or transverse, continuous round the neck, low down in the neck below or across the thyroidAbrasion and Echhymosis around the edge of ligatureRareCommonLarynx and trachea fractureRare That too in Judicial hangingComparatively more commonNOTE: Position of knot in suicidal hanging is at the nape of neck. In Judicial hanging position of knot mostly is at the angle of mandible.